Premalignant conditions of the GIT are -a) Iliocecal TBb) Familial polyposisc) Villous adenomasd) Ulcerative colitis
1. abc
2. acd
3. ac
4. bcd

Correct answer: 4. bcd